Epithelial Tumour of Stomach is
1. GIST
2. Carcinoid tumour
3. Sarcoma
4. Granular cell tumour

Correct answer: 2. Carcinoid tumour

Explanation: (B) Carcinoid tumouroEpithelial tumour of stomach is carcinoid tumour.[?]Carcinoid TumoroCarcinoid tumors arise from the diffuse components of the endocrine system and are now properly referred to as well-differentiated neuroendocrine tumors.oThe term carcinoid, or "carcinoma-like," was applied because these tumors tend to have a more indolent clinical course than GI carcinomas. Most are found in the GI tract, and more than 40% occur in the small intestine.FEATURES OF GASTROINTESTINAL CARCINOID TUMORSFeatureEsophagusStomachProximalDuodenumJejunum and IleumAppendixColo rectum*. Fraction of GI carcinoids<1%<10%<10%>40%<25%<25%*. Mean patient age (yr)Rare555065All ages60*. LocationDistalBody and fundusProximal third, peri-ampullaryThroughoutTipRectum > cecum*. SizeLimited data1-2 cm, multiple; >2 cm, solitary0.5-2 cm3.5 cm0.2-1 cm>5 cm (cecum); <1 cm (rectum)*. Secretory product(s)Limited dataHistamine, somatostatin, serotoninGastrin, somatostatin, cholecystokininSerotonin, substance P, polypeptide YYSerotonin, polypeptide YYSerotonin, polypeptide YY*. SymptomsDysphagia, weight loss, refluxGastritis, ulcer, incidentalPeptic ulcer, biliary obstruction, abdominal painAsymptomatic, obstruction, metastatic diseaseAsymptomatic,incidentalAbdominal pain, weight loss, incidental*. BehaviorLimited dataVariableVariableAggressiveBenignVariable*. Disease associationsNoneAtrophic gastritis, MEN-IZollinger-Eilison syndrome, NF-1, sporadicNoneNoneNoneMEN-I, Multiple endocrine neoplasia type I; NF-1, neurofibromatosis type I.oThe peak incidence of carcinoid tumors is in the sixth decade, but they may appear at any age.oSymptoms are determined by the hormones produced.oFor example, tumors that produce gastrin may cause Zollinger-Eilison syndrome, while ileal tumors may cause carcinoid syndrome, which is characterized by cutaneous flushing, sweating, bronchospasm, colicky abdominal pain, diarrhea, and right-sided cardiac valvular fibrosis.oMost common benign tumor of esophagus - LeiomyomaoMost common malignancy esophagus - Squamous Cell CarcinomaoMost common benign tumor of stomach - Adenoma (Epithelial Polyps)oMost common site of Leiomyoma in GIT - StomachoMost common malignancy of small intestine - CarcinoidoMost common benign tumor of small intestine - AdenomaoMost common symptomatic benign tumor of small intestine - LeiomyomaoCarcinoma is the most important & the most common (90-95%) of malignant tumors of the stomach.oNext, in order of frequency are lymphoma (4%), carcinoids (3%) and mesenchymal tumors (2%).oEpidemiology:-Gastric carcinoma is the second most common tumor in the world.-It's incidence, however, varies widely, being particularly high in countries such as Japan.-Male - to - Female ratio of about 2:1.